If blindness is surveyed using schools as compared to population surveys, then estimation of prevalence of blindness will have ?
1. Overestimation
2. Underestimation
3. Remains same
4. None of them is used for evaluation

Correct answer: 2. Underestimation

Explanation: Blindness situation in India

Estimated prevalence of blindness in India (total) : 11.2 per 1000 population.
Estimated prevalence of blindness in India (0-14 years) : 0.1 per 1000 population.
Estimated prevalence of blindness in India (15-49 years) : 0.6 per 1000 population.
Estimated prevalence of blindness in India (50+ years) : 77.3 per 1000 population.
So if schools are used where only refractive errors generally constitute blindness (that too very few are actually blind i.e. <6 / 60) As compared to population (where age-related cataract constitute as major cause of blindness), it would lead to underestimation of prevalence of blindness in the country.